Lordaceous spleen is seen in -
1. Alcoholic hepatitis
2. Chronic active hepatits
3. Focal amyloidosis
4. Diffuse amyloidosis

Correct answer: 4. Diffuse amyloidosis

Explanation: Ans. is 'd' i.e., Diffuse amyloidosis Focal amyloidosis cause sago spleen